Enzyme inactivation is the main mode of resistance to :
1. Aminoglycosides
2. Quinolones
3. Rifamycins
4. Glycopeptides

Correct answer: 1. Aminoglycosides

Explanation: Resistance to quinolones is due to altered DNA gyrase, to rifamycin is due to mutation in gene rpoB reducing its ability for the target and for glycopeptides like vancomycin due to reduced affinity for target site.